Drug not causing enzyme inhibition is
1. Phenobarbitone
2. Omeprazole
3. Disulfiram
4. Diltiazem

Correct answer: 1. Phenobarbitone

Explanation: Ans. is 'a' i.e., Phenobarbitone Drugs that induce microsomal enzymes* Phenobarbitone* Carbamezepine* Phenytoin* Omeprazole* Rifampin* Clofibrate* Glucocorticoids* Meprobamate* Isoniazid* Ritonavir* Chloral hydrate* Glutethimide* Phenylbutazone* Chronic alcohol intake* Griseofulvin* Cigarette smoking* DDT* Cyclophosphamide Drugs that inhibit drug metabolizing enzymes* Allopurinol* Diltiazem* Omeprazole* Amiodarone* Erythromycin* Propoxyphene* Clarithromycin* Isoniazid* Chloramphenicol* Cimetidine* Phenylbutazone* Quinidine* Ketoconazole* Metronidazole* Itraconazole* Disulfiram* Ciprofloxacin* Verapamil* Sulfonamides* MAO inhibitors